The emeiocytosis or reverse pinocytosis requires which ion
1. Na+
2. K+
3. Ca++
4. Mg++

Correct answer: 3. Ca++

Explanation: C i.e. Ca++